Not obtained from plant source ?
1. Cobalamine
2. Riboflavin
3. Thiamine
4. Vitamin A

Correct answer: 1. Cobalamine

Explanation: Ans. is 'a' i.e., CobalamineVitamin B12 (cobalamin or cynocobalmin) is present only in food of animal origin. Other three vitamins can be taken from plant source.